First clinically used local anaesthetic drug is?
1. Procaine
2. Prilocaine
3. Cocaine
4. Lidocaine

Correct answer: 3. Cocaine

Explanation: ANSWER: (C) CocaineREF: Miller 7th ed chapter 1See table of INTRODUCTION & TITLES IN ANAESTHESIA in 2013 Session 2Albert Niemann (1834-1861) of Germany, who isolated the alkaloid cocaine from the dried leaves of coca plant in 1856 & gave the name cocaine to the active drug. Vasili vonAnrep (1852-1918) was the first to remark on its local anesthetic properties after animal experimentsCarl Roller (an intern under Sigmund Freud) arranged to demonstrate the use of topical cocaine analgesia at the Ophthalmologic Congress in Heidelberg, Germany, on September 15, 1884. As the time for this presentation approached, he was unable to afford the travel expenses from Vienna, and a colleague from Trieste, Josef Brettauer (1835-1905), presented the three-page manuscript in his absence.